The circle of Willis lies in:
1. Subarachnoid space
2. Subdural space
3. Intraventricular space
4. None of the above

Correct answer: 1. Subarachnoid space

Explanation: The circulus arteriosus (circle of Willis) is a large arterial anastomosis which unites the internal carotid and vertebrobasilar systems.It lies in the subarachnoid space within the deep interpeduncular cistern, and surrounds the optic chiasma, the infundibulum and other structures of the interpeduncular fossa.Ref: Gray's anatomy 40th edition, Chapter 17.